Pudendal nerve supplying motor part to external sphincter is derived from
1. L5 - S1 roots
2. S1 - S2 roots
3. L2 - L3 roots
4. S2 - S3 roots

Correct answer: 4. S2 - S3 roots

Explanation: The striated sphincter is innervated by the pudendal nerve from the S2 - S3 nerve roots. The neurons that innervate the urethral sphincter originate in the cord, in an area termed Onuf's nucleus. The autonomic nervous system also controls the IUS muscle because it is made of smooth muscle fibers.